Looser's zones are seen in:
1. Osteoporosis
2. Osteomalacia
3. Osteosarcoma
4. TB spine

Correct answer: 2. Osteomalacia

Explanation: Ans (b) OsteomalaciaRef : Maheshwari 5th ed. / 312* Cortical infarctions are wide transverse lucencies traversing bone usually at right angles to the involved cortex and are associated most frequently with osteomalacia and rickets . They are pseudo- fractures and considered a type of insufficiency fracture.* Typically, the fractures have sclerotic irregular margins, and are often symmetrical.Causes* Osteomalacia* Renal osteodystrophy* Fibrous dysplasia* Hyperthyroidism* Paget's disease of bone* X linked hypophosphataemia* Osteogenesis Imperfecta